A 30 yr old male presents to the OP it with Erectile dysfunction. asic screening evaluation is unremarkable. The next step in the evaluation /management should be?
1. Oral sildenafil citrate trial
2. Cavernosometry
3. Doppler study
4. eurological testing

Correct answer: 1. Oral sildenafil citrate trial

Explanation: The advent of sildenafil has changed the landscape of the evaluation and treatment of erectile dysfunction. Specialized investigations (Penile doppler ultrasound, dynamic infusion cavernosography and neurological testing) are required only when oral therapy with sildenafil fails or is contraindicated and vaccum therapy is not accepted.